Korsakoff's psychosis is caused by deficiency of vitamin
1. Vitamin B1
2. Vitamin B2
3. Vitamin C
4. Vitamin D

Correct answer: 1. Vitamin B1